Fracture of lower one third of humerus impinging upon the radial nerve as it crosses from posterior compartment to anterior compartment crossing the lateral intermuscular septum is called as:
1. Essex lopresti fracture
2. Ulnar fracture
3. Holstein Lewis fracture
4. Thurston holland sign

Correct answer: 3. Holstein Lewis fracture

Explanation: There is a spiral fracture at the junction of the middle and distal third, is commonly known to be associated with a radial nerve palsy. This is called Holstein Lewis fracture. The radial nerve injury results in paralysis of the wrist, finger and thumb extensors (wrist drop), brachioradialis and the supinator. Essex-Lopresti fracture-dislocation is characterized by a fracture of the radial head, dislocation of the distal radioulnar joint and rupture of the antebrachial interosseous membrane. Thurston holland sign- also known as the shiny corner sign, is the small metaphyseal triangular portion of bone carried with the physis in type II and IV Salter-Harris fractures. Type II > Type IV